Which of the following centers are involved in maintaining the circadian rhythm?
1. Supraoptic nuclei
2. Posterolateral nuclei
3. Ventrolateral nuclei
4. Suprachiasmatic nuclei

Correct answer: 4. Suprachiasmatic nuclei

Explanation: The entrainment process in most cases is dependent on the suprachiasmatic nuclei (SCN) located bilaterally above the optic chiasma. Efferents from the SCN initiate neural and hormonal signals that entertain a wide variety of well known circadian rhythms including the sleep wake cycle and the secretion of the pineal hormone melatonin.